Which anesthestic modality is to be avoided in sickle cell disease
1. General anesthesia
2. Branchial plexus block
3. Intravenous regional anesthesia
4. Spinal anesthesia

Correct answer: 3. Intravenous regional anesthesia

Explanation: Refer :Short textbook of Anesthesia by Ajay Yadav 2/e p 148 Prevention of conditions that favour sickling is the basis of Peri operative management Supplemental oxygen is recommended Circulatory stasis can be prevented with hydration Normothermia is desirable The use of tourniquet and hence Biers block is contraindicated